Cause of epidemic dropsy is?
1. Pyrolizidine
2. Sanguinarine
3. Fusarium toxin
4. BOAA

Correct answer: 2. Sanguinarine

Explanation: ANSWER: (B) SanguinarineREF: Park 20th ed p. 571See APPENDIX-44 below for list of "Food adulterants" APPENDIX - 44Food AdulterantsDiseaseToxinAdulterantAdded toEffectsENDEMIC ASCITIS Pictow Disease in CanadaWinton Disease in New ZealandPyrrolizidine alkaloidsragxvort (S. jacobea) rattleweed (Crotalaria retusa) JHUNJHUNIA in IndiaMillet seeds (Panicum malare)- GONDHI in India Accidently by milk from cows feeding on these plantsHepatotoxic, hepatic veno-occlusive disease and liver cancerNEUROLATHYRISM or Lathyrism/J-oxalyl-amino-alanine (BOAA) structural analogue of the neurotransmitter glutamateLathyrus sativus (also known as Grass pea, Khesari Dhal or Almorta)Bengal gram & Red gramlack of strength in or inability to move the lower limbs, emaciation of gluteal muscles (buttocks)-characteristicOSTEOLATHYRISM or odoratismyS-aminopropionitrile (BAPN) (antirheumatic agent in veterinary medicine)Lathyrus odoratus seeds (sweet peas)Bengal gram & Red gramcollagen cross-linking deficiency- rveakness and fragility of connective tissue (i.e., skin, bones, and blood vessels (angiolathyrism)EPIDEMIC DROPSYBenzophenanthridinealkaloids,SANGUINARINE and dihydro-sanguinarineARGEMONE MEXICANA (Mexican prickly poppy)- "Pivladhatura" or "Satyanashr in Indiamustard oilinhibition of Na+-K+- ATPase activity of heart - Proteinuria, edema, nephrotic syndrome, headache, nausea, loose bowels, erythema and breathlessness